Cobimetinib is approved for treatment of?
1. BCC
2. Melanoma
3. Squamous cell carcinoma
4. Vitiligo

Correct answer: 2. Melanoma

Explanation: Cobimetinib is approved for RX of melanoma in patients with unresectable or metastatic melanoma with BRAF V600E or V600K mutation, in conjunction with Vemurafenib. Cobimetinib - Reversible inhibitor of mitogen-activated protein kinase (MAPK)/extracellular signal regulated kinase.